A 38-year-old gentleman reports of decreased hearing in the right ear for the last two years. On testing with a 512 Hz tuning fork, the Rinne's test without masking is negative in the right ear and positive on the left ear. With Weber's test, the tone is perceived as louder in the right ear. The most likely diagnosis in the patient is
1. Right conductive hearing loss
2. Right sensorineural hearing loss
3. Left sensorineural hearing loss
4. Left conductive hearing loss

Correct answer: 1. Right conductive hearing loss

Explanation: The characteristics of conductive hearing loss are: 1. Negative Rinne test, i.e. BC > AC. 2. Weber lateralized to poorer ear. 3. Normal absolute bone conduction. 4. Low frequencies affected more. 5. Audiometry shows bone conduction better than air conduction with air-bone gap. Greater the air-bone gap, more is the conductive loss 6. Loss is not more than 60 dB. 7. Speech discrimination is good. Ref: Dhingra 7e pg 31.